Resection of 90% of ileum and jejunum causes all of the following except:
1. Hypogastrinemia
2. Anemia
3. Steatorrhea
4. Extracellular volume depletion

Correct answer: 1. Hypogastrinemia

Explanation: Ans. (a) HypogastrinemiaRef: Sabiston 20th edition, Page 1291* This is a case of Short Bowel syndrome:# Malabsorption# Steatorrhea# Vitamin B12 deficiency (Terminal ileal resection)# Vitamin A, D, E, K deficiency (Due to steatorrhea fat soluble vitamins lost)# Gall stones (Cholesterol type)# Renal stones (Calcium oxalate)# Hypergastrinemia (Due to loss of feedback inhibition)